Mitochondrial membrane protein contain transporter of
1. NADH
2. Acetyl COA
3. NADPH
4. ATP

Correct answer: 4. ATP

Explanation: The carrier proteins in inner mitochondrial membrane (IMM) are highly specific in their action. They permit movement of several molecules that are important for cellular function, such as ATP, H+, malate, pyruvate, citrate, glutamate, aspartate, a-ketoglutarate and phosphate.
It should be remembered that though shuttle systems move NADH produced in the cytosol into the mitochondria, there is no direct transporter for NADH. First reducing equivalent of NADH is transferred to malate which then is transported into the mitochondria and returns the reducing equivalent to mitochondrial NAD+ to form NADH. So, NADH is not transported but for one NADH produced in the cytosol one NADH is produced inside the mitochondria after transport of reducing equivalent by shuttle system.